Meralgia paraesthetica is -
1. Medial cutaneous nerve of thigh
2. Lateral cutaneous nerve of thigh
3. Lateral cutaneous nerve of hand
4. Medial cutaneous nerve of hand

Correct answer: 2. Lateral cutaneous nerve of thigh

Explanation: Ans. is 'b' i.e., Lateral cutaneous nerve of thigh o The neuropathy affecting the lateral cutaneous nerve of thigh is called meralgia paraesthetica,o Cheralgia paraesthetica is a neuropathy of the hand - superficial branch of the radial nerve. The area affected includes:Base of thumb, near the anatomical snuffboxBack of thumb and index fingerBack of handThus,Meralgia paraesthetica - Lateral cutaneous nerve of thighCheralgia paraesthetica - Lateral cutaneous nerve of hand